Cage test is used for diagnosis of -
1. Opioid abuse
2. Schizophrenia
3. Alcoholism
4. Paranoid Psychosis

Correct answer: 3. Alcoholism

Explanation: Ans. is 'c' i.e., Alcoholism o The CAGE questionnair is a tool used to assess individuals for potential alcohol problems, including dependence. It is useful because it involves 4 simple questions, of which only 2 need to be answered positively for the individual to be indicated as possibly alcohol dependent.1. Do you ever feel like you should Cut down your drinking? (C)2. Do you ever feel Angery/Annoyed when people try to talk to you about drinking? (A)3. Do you ever feel Guilty as a consequence of drinking? (G)4. Do you ever need an Eye opener-a drink of alcohol in the morning - before you can function? (E)